Most commonly used cylinder in anesthesia machine is:
1. A
2. B
3. D
4. E

Correct answer: 4. E

Explanation: Ans: D (E) NoteMost commonly used cylinder in anesthesia machine is E"Cylinder: Smallest size available isAAand biggest is H. Commonly used cylinders on anesthesia machine are of type E"- Ajay Yadav2nd/ 20"Size E is the cylinder most commonly used on anesthesia machines and for patient transport and resuscitation. Size D cylinders are used for limited supplies of gases where size and weight considerations are important"-Dorsch/t & Dorsch 5th/7 "Anesthesia workstations have E-cylinders for use when a pipeline supply source is not available or the pipeline system fails"- Miller 7th/ 675CYLINDERS Ajay YadavCylinders are made of molybdenum steel.Oxygen cylinderColour is a black body with white shoulders and pressure is 2,000 pounds per square inch (psi) or 137 kg/cm2 . (other units which can be used to measure pressure are bar and torr).As oxygen is consumed cylinder pressure falls in proportion to its content i.e. if the pressure gauge is showing 1000 psi that means oxygen cylinder is half full.# Smaller size available is AA and biggest is H. commonly used cylinders on anesthesia machine are of type E.Acceptable purity is 99%.The cylinder should have the following details: Name of the owner, serial number, the capacity of the cylinder; Symbol of gas, the weight of cylinder, date of the hydraulic test.Cylinders should be tested every 5 years.Liquid oxygen: special supply reservoirs are used. Oxygen is stored at -119o C (below critical temperature.1 ml of liquid oxygen gives 840 ml of gas.The advantage of liquid oxygen is that it can be stored in large volumes in smaller containers and is portable. So it can be used at a remote location, especially in wars and disasters. Table (Ajay Yadav 2nd/ 21): Summary of gas cylindersGasCommonly used type and filled asColourCapacityPressurePin IndexFilling densityOxygenE}GasBlack with white Shoulders660 litres2,000 psi2,56B% (for liquid oxygen)H6,900 litres2,000 psi (liquid oxygen also available) Nitrous oxideE}LiquidBlue1,590 litres760 psi3,568%H15,800 litres760 psi 68%AirE, GasGrey body with Black and white Shoulders625 litres2,000 psi1,5"Carbon dioxideE, LiquidGrey1,590 litres750 psi2.668%CyclopropaneLiquidOrange-75 psi3,655%HeliumGasBrown*1,600 psi--Entonox (50% oxygen + 50% nitrous oxideLiquidBlue body with blue and white shoulders*2,000 psi7-